In pregnancy, what is drug of choice for initial treatment of immune thrombocytopenic purpura
1. Azathioprine
2. Intravenous immunoglobulins
3. Systemic corticosteroids
4. Laparoscopic splenectomy

Correct answer: 3. Systemic corticosteroids

Explanation: Steroids are drug of choice for ITP in pregnancy.